In a town with population of 100,000, the number of slides examined is 5000. Out of these, 100 slides were positive for malaria. The API is?
1. 2
2. 5
3. 1
4. 0.5

Correct answer: 3. 1

Explanation: ANSWER: (C) 1REF: Park 20th edition page 227API= (confirmed cases/population) x 1000: it is a measure of malaria incidence.= 100/100000 x 1000 = 1ABER= (slides examined/population) x 100: It is a measure of operational efficiency. ABER for this case=5